Ceruloderma is characterised by-
1. Excess melanin in dermis , pigmentation not accentuated under Wood's lamp
2. Excess melanin in basal and suprabasal layers, pigmentation accentuated under Wood's lamp
3. Increased epidermal and dermal melanin
4. Excess melanin in basal and suprabasal layers, pigmentation not accentuated under Wood's lamp

Correct answer: 1. Excess melanin in dermis , pigmentation not accentuated under Wood's lamp

Explanation: Ceruloderma- Due to defect in migration of melanocyte. Melanocyte derived from neural crest and migrate to stratum basale (epidermis) Defect in migration of melanocytes due to which they remain in dermis Eg. Of Ceruloderma - 1. Mongolian spot 2. Nevus of OTA3. Nevus of ITO Clinical features - Dermis- Blue lesion - Don't become dark under wood's lamp . Blue d/t - Tyndall effect/optical effect i.e. partial scattering of light Most of light reflected back is blue in colour.